The nerve commonly damaged during McBurney's incision is -
1. Subcostal
2. Iliohypogastric
3. 11th thoracic
4. 10th thoracic

Correct answer: 2. Iliohypogastric

Explanation: "Right inguinal hernia is more common following a grid iron (MC Burney's) incision for appendiccectomy and is due to injury to the iliohypogastric nerve" - Bailey & Love